Which of the following is not true about Klumpke's paralysis?
1. Involves lower trunk of brachial plexus
2. Intrinsic muscles of hand are paralysed
3. Claw hand is a feature
4. Horner's syndrome can never be associated

Correct answer: 4. Horner's syndrome can never be associated

Explanation: Klumpke's palsy: most common cause-traumatic vaginal delivery Occurs in lower trunk of brachial plexus (C8-T1) Claw hand is present due to the paralysis of intrinsic muscles of hand It is associated with Horner's syndrome Has poor prognosis